Substance responsible for erection of penis -
1. Clomipramine
2. Papaverine
3. Buspirone
4. Amitriptyline

Correct answer: 2. Papaverine

Explanation: Ans. is 'b' i.e., Papaverine Papaverineo It is a nonspecific phosphodiesterase inhibitor.o Injection of papaverine with or without phentolamine into corpus cavemosum produces penile tumiscence to permit intercourse.o Repeated injection can cause penile fibrosis.